Angioid streak is seen in-
1. Tuberous sclerosis
2. Pseudoxanthoma elasticum
3. Sturge weber syndrome
4. Septo optic dysplasia

Correct answer: 2. Pseudoxanthoma elasticum

Explanation: Angioid streaks are breaks in the degenerated and mineralized Bruch's membrane which typically form around the optic disc and radiate from the optic disc. These breaks are usually linear and hence named angioid or like blood vessels. Angioid streaks may be idiopathic or associated with pseudoxanthoma elasticum, Ehlers Danlos syndrome, Sickle cell disease, Acromegaly, Paget's disease of the bone, and other diseases. Angioid streak may be associated with choroidal neovascularization (CNV) causing metamorphopsia and/or visual decline. Angioid streaks are a risk factor of subretinal bleeding after minor trauma. Ref -davidson 23rd edition pg 1269